All of the following may be features of a silent carcinoma of the body of the stomach except -
1. Obstructive jaundice
2. Ascites
3. Dysphagia
4. Krukenberg' s tumours

Correct answer: 3. Dysphagia